Delusion is not present in -
1. Delirium
2. Mania
3. Depression
4. Compulsive disorder

Correct answer: 4. Compulsive disorder

Explanation: Delusions are seen in psychosis (Schizophrenia, Mania, depression, other psychotic disorder-delusional disorders and Schizoaffective disorders) and organic mental disorders (Delirium, substance abuse or withdrawal).
Delusions are not seen in neurosis:- Anxiety, obsessive-compulsive disorder, Dissociative (conversion) disorders, somatoform disorders, stress-related disorders.